Von-Meyenburg's complexes is seen in -
1. Brain
2. Liver
3. Kidney
4. Spleen

Correct answer: 2. Liver

Explanation: Ans. is 'b' i.e., LiverVon Meyenburg Complexes o Close to or within portal tract, these are small clusters of modestly dilated bile ducts embedded in a fibrous, sometimes hyalinised stroma.o Although these "bile duct microhamaromas" may communicate with the biliary tree, they generally are free of pigmented material tree.o They presumably arise from residual embryonic bile duct remnants. Occasionally, a triangular bile duct hamartoma may lie just under Glisson's capsule.Polycvstic liver disease o There are multiple diffuse cystic lesions in liver.Congenital hepatic fibrosis o Portal tracts are enlarged by irregular, broad bands of collagenous tissue, forming septa that divide the liver into irregular islands.o Variable numbers of abnormally shaped bile ducts are embedded in the fibrous tissue and are in continuity with the biliary tree.Caroli disease o The larger ducts of the intrahepatic biliary tree are segmentally dilated and contain inspissated bile.